The following is true of anti-H. pylori therapy EXCEPT:
1. It is indicated in all patients of peptic ulcer
2. Resistance to any single antimicrobial drug develops rapidly
3. Concurrent suppression of gastric acid enhances the efficacy of the regimen
4. Colloidal bismuth directly inhibits H. pylori but has poor patient Acceptability

Correct answer: 1. It is indicated in all patients of peptic ulcer

Explanation: Triple drug therapy for H. pylori is indicated in those patients in whom infection is detected by urea breath test. Since H. pylori becomes less virulent in the absence of acid, combination with PPI is more effective. Because resistance can develop to single agents, these are used in combination. Colloidal bismuth subcitrate dislodges H. pylori but produces metallic taste and blackening of tongue.